Which is the most common type of ovarian cyst to undergo torsion?
1. Dysgerminoma
2. Serous cystadenoma
3. Benign cystic teratoma
4. Mucinous cystadenoma

Correct answer: 3. Benign cystic teratoma

Explanation: 80% of ovarian masses are benign cystic teratomas or dermoid cysts. It mainly occur during the reproductive years, but have a wider age distribution. It is associated with a 15% risk of torsion, and is the most common type of ovarian cyst to undergo torsion. Other complications associated with it are, cystic rupture resulting in acute peritonitis and chronic leakage of teratoma contents resulting in granulomatous peritonitis. Ref: Textbook of gynecology by D C Dutta 4th edition Page 273-5, 352.